Mirrizi syndrome
1. Cyst present in CBD
2. Stone in cystic duct compressing CBD
3. Obstruction of pancreatic duct
4. Stone in Rt hepatic duct

Correct answer: 2. Stone in cystic duct compressing CBD

Explanation: Answer- B. Stone in cystic duct compressing CBDIt comprises obstructive jaundice due to stone impacted in the neck of gall bladder, which compresses the common hepatic duct and eventually ulcerates into common hepatic duct causing cholecysto-choledochal fistula